Staphyloccocal pathogenicity is indicated by?
1. Coagulase positivity
2. Hemolysis
3. Lipoteichoic acid
4. Endotoxin

Correct answer: 1. Coagulase positivity

Explanation: Ans. is 'a' i.e., Coagulase positivity Virulence factors of staphylococcus aureus . There are numerous virulence factors responsible for pathogenicity of staph aureus, but the most consistent association of virulence is production of coagulase and to a lesser extent, fermentation of mannitol. Coagulase causes activation of prothromhin and leads to fibrin formation around the bacteria, protecting the bacteria from phagocytosis.